In hypoparathyroidism:
1. Plasma calcium and inorganic phosphorous are low
2. Plasma calcium and inorganic phosphorous are high
3. Plasma calcium is low and inorganic phosphorous high
4. Plasma calcium is high and inorganic phosphorous low

Correct answer: 3. Plasma calcium is low and inorganic phosphorous high

Explanation: Ans. C. Plasma calcium is low and inorganic phosphorous highPTH hormone is concerned with the regulation of the concentration of Ca and PO4 ions in the blood plasma. It is released from parathyroid glands and their main function is to increase the concentration of Ca and to decrease the concentration of PO4. Hypoparathyroidism leads to low plasma Ca and high inorganic phosphorous.